Penile buccal coitus is:
1. Sadism
2. Fetishism
3. Fellatio
4. Cunnilingus

Correct answer: 3. Fellatio

Explanation: Ans. Fellatio